which of the following drug acts by inhibiting the protease enzyme of HIV
1. Saquinavir
2. Neviparine
3. Abacavir
4. Enfuvirtide

Correct answer: 1. Saquinavir

Explanation: Refer Goodman Gillman 12th/e p 1648 Drugs whose name end with NAVIR are HIV protease inhibitors Thus among the given options saquinavir is a protease inhibitor